Inferior turbinate is a:
1. Part of maxilla
2. Part of sphenoid
3. Separate bone
4. Part of ethmoid

Correct answer: 3. Separate bone

Explanation: The superior and middle turbinates are parts of ethmoid bone whereas inferior turbinate is an independent separate bone.